A 30 yrs old female, presents to the emergency with complaint of sudden severe abdominal pain; an abdominal mass is palpable on examination; Most likely diagnosis is:
1. Torsion of subserous fibroid
2. Twisted ovarian cyst
3. Rupture of ectopic preg
4. Rupture of ovarian cyst

Correct answer: 2. Twisted ovarian cyst

Explanation: The history of sudden onset of pain abdomen points towards a Torsion Present as a palpable mass because torsion occurs mostly in cysts which are more than 8 to 10 cms size. MC tumour to show torsion: Dermoids C/f : Acute abdominal Pain, Fever, Vomiting Rx Surgical Emergency Requiring Urgent Laparotomy Detorsion of ovary and Ovariopexy after removal of tumour should be attempted